Earliest manifestation of diabetic retinopathy?
1. Hard exudates
2. Soft exudates
3. Microaneurysm
4. Dot and blot hemorrhages

Correct answer: 3. Microaneurysm

Explanation: types of diabetic retinopathy 1. NON- proliferative diabetic retinopathy 2. proliferative diabetic retinopathy. NON- proliferative diabetic retinopathy- 1st sign- Microaneurysm , seen on venular end of capillaries, posterior pole of retinain the Inner nucelear layer (5th Retinal layer ) Proliferative diabetic retinopathy.- Hallmark sign -Neovascularisation , that is fragile ,uncontrolled growth of vessels around discor periphral retina . Hard exudates-specific for diabetic retinopathy -these are the lipid droplets seen in outer plexiform layer (6th layer of retina). Soft exudates-cotton wool exudates , dirty yellow in colour , due to stasis of axoplasmic flow in retinal nerve fibre layer (2nd retinal layer ) Dot and blot hemorrhages-Due to rupture of microaneurysm in Oiuter plexiform layer (6th layer of retina A.K. henle's layer) Proliferative diabetic retinopathy